Homes where children are placed under the care of doctors and psychiatrists are called –
1. Foster homes
2. Borstals
3. Remand homes
4. Child guidance clinics

Correct answer: 3. Remand homes